All of the following can aggravate Myasthenia gravis except
1. Azathioprine
2. d-Tubocurarine
3. Tetracycline
4. Aminoglycoside

Correct answer: 1. Azathioprine

Explanation: Essentials of medical pharmacology, seventh edition, page no 864, Answer is option 1, Azathioprine This antipurine acts by getting converted to 6-MP,but has more prominent immunosuppresant action. It mainly supresses cell mediated iimmunity and is mainly used in autoimmune diseases like rheumatoid arthritis, myasthenia gravis, ulcerative collitis etc.